Minamata disease is-
1. Copper poisoning
2. Arsenic poisoning
3. Methyl mercury poisoning
4. Lead Poisoning

Correct answer: 3. Methyl mercury poisoning

Explanation: Ans. is 'c' i.e., Methyl mercury poisoning o Minamata disease is methyl mercury poisoning that occurred in humans who ingested fish and shellfish contaminated by methylmercury discharged in wastewater from the chemical plant o Symptoms of Minamata disease includes sensory disorders of four extremities which are:- # Loss of feeling or numbness. # Cerebellar ataxia. # Tunnel vision or blindness. # Smell and hearing impairment. # Disequilibrium syndrome. # More serious cases led to convulsion, seizures, paralysis and possibly death.